Earliest investigation for diagnosis of Ankylosing spondylitis-
1. MRI STIR sequence
2. Bone scan
3. CT scan
4. X-ray

Correct answer: 1. MRI STIR sequence

Explanation: mri stir sequence most precise investigation of choice in patients with ankylosing spondilitis ref : maheswari 9th ed